Knockout drops are -
1. Paraldehyde
2. Chloral hydrate
3. Kerosene
4. Turpentine

Correct answer: 2. Chloral hydrate

Explanation: Ans. is 'b' i.e., Choral hydrate o The action of choral hydrate is so rapid that is has been given the name of'Knockout drops',o Mickey Finn: combination of choral hydrate and alcohol.